Sudden loud sound is more likely to damage the cochlea than prolonged sounds because
1. Basilar fibers are sensitive to sudden sounds but adapt to prolonged sounds
2. A sudden sound carries more energy
3. Tympanic membrane becomes flaccid during prolonged loud sounds
4. There is a latent period before the attenuation reflex can occur

Correct answer: 4. There is a latent period before the attenuation reflex can occur